A 1-year-old girl is brought to the emergency room by her parents who report that she had a fever and diarrhea for 3 days. The child's temperature is 38degC (101degF). The CBC shows a normal WBC count and increased hematocrit. Which of the following microorganisms is the most likely cause of diarrhea in this young child?
1. Cytomegalovirus
2. Rotavirus
3. Salmonella typhi
4. Shigella dysenteriae

Correct answer: 2. Rotavirus

Explanation: Rotavirus is the most common cause of infantile diarrhea and can be demonstrated in duodenal biopsy specimens in half the cases of acute diarrhea in hospitalized children under the age of 2 years. Choices C, D, and E can cause diarrhea, but are uncommon in developed countries.Diagnosis: Viral diarrhea